When the death of one fetus in multiple pregnancy occurs early in pregnancy it may manifest as
1. Fetus papyraceus
2. Vanishing twin
3. Fetus compressus
4. Fetus acardiacus

Correct answer: 2. Vanishing twin

Explanation: Death of One Fetus:When this occurs early in pregnancy, it may manifest as a vanishing twin.Fetal death in a slightly more advanced gestation may go undetected until delivery of a normal-appearing live infant along with a dead fetus that is barelyidentifiable. It may be compressed appreciably-fetus compressus, or it may be flattened remarkably through desiccation--fetus papyraceus.Ref: William's Obstetrics; 24th edition; Chapter: 45